Losartan is similar to enalapril in all features except:
1. Antihypertensive efficacy
2. Reverse left ventricular hypertrophy
3. Lack of carbohydrate intolerance
4. Potential to induce cough

Correct answer: 4. Potential to induce cough

Explanation: Ans. D. Potential to induce coughLosartan is ARB which block the angiotensin receptor and enalapril is ACE inhibitor which inhibits the action of ACE enzyme. Both of them have same indication and side effects except ARB causes less incidence of cough and angioedema.